Periodontal tissue destruction apically and potentially migrating towards the gingival margin is called
1. Marginal periodontitis
2. Marginal Gingivitis
3. Retrograde Periodontitis
4. chronic destructive periodontitis

Correct answer: 3. Retrograde Periodontitis